Which of the following is not true about xenon anesthesia
1. Non explosive
2. Minimal cardiovascular side effects
3. Slow induction and slow recovery
4. Inhibits Ca++ pump and low blood gas solubility

Correct answer: 3. Slow induction and slow recovery

Explanation: Xe has a very low blood-gas solubility coefficient (0.115) and produces rapid induction of and emergence from anesthesia. Xe is not teratogenic, does not undergo biotransformation, and exerts anesthetic and analgesic effects under normal atmospheric pressure conditions (1.0 MAC = 71%). Xe is derived from a particle decay of radioactive heavy metals such as uranium and thorium. Xe naturally occurs in the atmosphere in trace amounts (1:11.5 million ) and is extracted from liquefied air by sequential cryogenic fractional distillation. Unlike volatile anesthetics and N2O, which produce diverse hemodynamic actions in the absence or presence of heart disease, Xe is essentially devoid of major cardiovascular effects. Xe did not affect voltage-gated Ca2+ currents and caused minimal inhibition of transient outward K+ currents in human atrial myocytes in vitro. Ref: Miller's anesthesia 8th edition Ref: Morgan & Mikhail's clinical anesthesiology 6e